Blood supply of spinal cord is by:
1. 1 Anterior & 2 Posterior Spinal Arteries
2. 2 Anterior & 1 Posterior Spinal Arteries
3. 2 Anterior & 2 Posterior Spinal Arteries
4. 1 Anterior & 1 Posterior Spinal Arteries

Correct answer: 1. 1 Anterior & 2 Posterior Spinal Arteries

Explanation: Ans. A. 1 Anterior & 2 Posterior Spinal ArteriesThe vertebral arteries are the main source of blood to the spinal cord.However, the following arteries supply the spinal cord:a. One anterior spinal arteryb. Two posterior spinal arteriesc. Anterior and posterior radicular arteriesd. Arterial vasocorona (anastomose between the spinal arteries)e. The anterior and two posterior spinal arteries are direct branches of the two vertebral arteriesf. The radicular arteries take origin from spinal branches of the vertebral arteries and spinal branches of ascending cervical arteries, deep cervical arteries, intercostal arteries, lumbar arteries and sacral arteries.